Urban malaria scheme is based on –
1. Epidemiology surve
2. Anti-adult measures
3. Anti–larval measures
4. None

Correct answer: 3. Anti–larval measures

Explanation: The Urban malaria scheme was launched in 1971 under National Malaria Eradication programme with the aim to reduce the vector population in urban area through recurrent antilarval measures.
The main aim is the reduction of the disease to a tolerable level in which the human population can be protected from malaria transmission with the available means.
The urban malaria scheme aims at -


To prevent death due to malaria.
Reduction of transmission and morbidity.


Norms include -

a) Town should have a minimum population of 50,000.


The API should be 2 or above.
The towns should promulgate and strictly implement the civic by laws to prevent/eliminate domestic and peridomestic breeding places.


Under the scheme, malaria control strategy comprise of -


Prasite control :- Treatment through passive agencies, e.g. hospitals, dispensaries both in private & public sectors.
Vector control :- It includes


Source reduction :- Reduction of breeding places.
Use of larvicides.
Use of larvivorous fish :- Gambusia fish
Space spray.